Popcorn calcification is seen in:
1. Pulmonary hamartoma
2. Fungal infection
3. Metastasis
4. Tuberculosis

Correct answer: 1. Pulmonary hamartoma

Explanation: Ans. Pulmonary hamartoma